Type of DCIS Which of the following true regarding Hemophilia A?
1. Serum levels of factor VIII are decreased
2. Deficiency of factor IX
3. PT increased
4. PPT decreased

Correct answer: 1. Serum levels of factor VIII are decreased

Explanation: Ans. a. Serum levels of factor VIII are decreasedRef: Robbins and Cotran Pathologic Basis of Disease 9th Ed; Page No- 662Hemophilia AIt is an X-linked recessive inheritance.Commonly Males are affected.Factor VIII deficiency is present.Symptoms vary depending on the degree of deficiency.Most common hereditary disease associated with life-threatening bleeding.There will be no petechiae or purpura.Newborns may develop bleeding at the time of circumcision. Other problems include spontaneous hemorrhage into joints (hemarthrosis), easy bruising and hematoma formation after minor trauma, and severe prolonged bleeding after surgery or lacerations.Laboratory studies typically show normal platelet count and normal bleeding time, normal PT and prolonged PTT.Treatment is factor VIII concentrate.